Treatment of parathyroid hyperplasia is:
1. Phosphate binders
2. Calcitonin
3. Removal of 3 1/2 glands
4. Enlarged glands to be removed

Correct answer: 3. Removal of 3 1/2 glands

Explanation: TREATMENT OF PRIMARY HYPERPARATHYROIDISM Initial correction of hypercalcemia (Rapid IV normal saline followed by Forced diuresis with furosemide) Neck exploration is done and treatment is done accordingly A single parathyroid adenoma (85%) Resection Two adenomas (5%) Resection Hyperplasia of all four glands (10-15%) Resection of 3 1/2 glands or Resection of all four glands With Parathyroid auto transplantation - into Brachioradialis of non-dominant arm PARATHYROID AUTO TRANSPLANTATION Whenever multiple parathyroids are resected, it is preferable to cryopreserve tissue, so that it may be autotransplanted Approx. 12-14 pieces of 1 mm are transplanted into the nondominant forearm in belly of brachioradialis muscle